Cushing ulcer seen in:-
1. Stress ulcer in Head injury
2. Stress ulcer in Burns
3. ulcer in severe hypertension
4. Ulcer in Crohn's disease

Correct answer: 1. Stress ulcer in Head injury

Explanation: - Stress-related mucosal disease occurs in patients with severe trauma, extensive burns, intracranial disease, major surgery, serious medical disease, and other forms of severe physiologic stress. Stress ulcers: - Gastric, duodenal, and esophageal ulcers arising in persons with intracranial disease/ head injury - Cushing ulcers - Ulcers associated with severe burns - Curling ulcers. - Ulcers occuring in severe hypertension - Maorell's ulcer